All the following can occur in a neonate for heat production except:
1. Shivering
2. Breakdown of brownfat with adrenaline secretion
3. Universal flexion like a fetus
4. Cutaneous vasoconstriction

Correct answer: 1. Shivering

Explanation: Ans. is 'a' i.e. Shivering "Always remember that newborn cannot produce heat by shivering "Role of Brown fat in thermogenesisA newborn baby is more prone to develop hypothermia because of large surface area per unit of body weight.In infants brown fat is an important site of thermogenesis. It results in the so called non-shivering thermogenesis.Brown fat is located around the adrenal glands kidneys, nape of neck, interscapular and axillary region.Metabolism of brown fat leads to heat production.Blood flowing through the brown fat becomes warms and through circulation, transfers heat to other parts of the body. This mechanism of heat production is known as non shivering thermogenesis.